Which of the following drug is excreted in saliva?
1. Tetracyclines
2. Ampicillin
3. Lithium
4. Chloramphenicol

Correct answer: 3. Lithium

Explanation: Saliva and sweat are of minor importance for drug excretion. Lithium, potassium iodide, rifampin, and heavy metals are present in sweat and saliva significant amounts saliva levels of lithium can be estimated in case of poisoning Ref; KD Tripathi pharmacology 7th edition (page no; 28)